A sewage worker presents to the emergency department with fever and jaundice. Laboratory findings reveal an elevated BUN and serum creatinine suggestive of renal failure. Which of the following antibiotics is recommended?
1. Cotrimaxozole
2. Erythromycin
3. Ciprofloxacin
4. Penicillin G

Correct answer: 4. Penicillin G

Explanation: Ans. is 'd' i.e., Penicillin G . Information in this question are :- i) Patient is sweage worker (high risk group for developing leptospirosis). ii) Jaundice and elevated BUN & creatinine - > Hepatorenal syndrome (Weil's disease). . So, presence of fever, jaundice and elevated BUN & creatinine in a sewage worker ( contact with rat urine) suggests a diagnosis of Weil's disease. . Penicillin G (intravenous) is the recommended agent.